The intrinsic apoptotic pathway is located in which of the following cellular organelle?
1. Endoplasmic reticulum
2. Golgi apparatus
3. Mitochondria
4. Cell membrane

Correct answer: 3. Mitochondria

Explanation: Mitochondria are remarkable organelles in that they contain proteins such as cytochrome c that are essential for life, but some of the same proteins, when released into the cytoplasm (an indication that the cell is not healthy), initiates the suicide program of apoptosis. Ref: Robbins 8th edition, Chapter 1